Not true about propagated epidemics ?
1. Gradual rise
2. Gradual fall
3. Person to person transmission
4. No secondary wave

Correct answer: 4. No secondary wave

Explanation: Ans. is 'd' i.e., No secondary wave